Guyrope's technique is related to:
1. Ileal resection and anastomosis
2. Ileostomy
3. Colostomy
4. All of the above

Correct answer: 2. Ileostomy

Explanation: Guyrope principle is used to evert the necessary length of bowel in creation of ileostomy. Guy Rope Principle In the creation of a permanent ileostomy, a fully everted nipple ensures a good fit of the stomal appliance In normal bowel segement this may not pose a problem, but forceful attempts at eversion in diseased, thickened and friable bowel may result in damage to the bowel segement In order to prevent this, guy rope principle is used to evert the necessary length of bowel Ref: www.ncbi.nlm.nih.gov/pubmed/2658641